Quant's sign (a T-shaped depression in the occipital bone) may be present in -
1. Down's syndrome
2. Head injury
3. Rickets
4. Scurvy

Correct answer: 3. Rickets

Explanation: Ans. is 'c' i.e., Rickets